All of the following are biomarkers of kidney function except
1. NGAL
2. Cystatin - C
3. KIM - 2
4. IL - 18

Correct answer: 3. KIM - 2

Explanation: Biomarkers of kidney function :
Cystatin - C.
NGAL ⇒ Neutrophil Gelatinase associated lipocalcin.
KIM - 1 ⇒ Kidney injury molecule - 1.
IL - 18 ⇒ Interleukin - 18.